Ideal speed for most rotary NiTi Instrument is
1. 300-350 rpm
2. 350-500 rpm
3. 500-600 rpm
4. 100-200 rpm

Correct answer: 1. 300-350 rpm

Explanation: Most endodontic rotary systems are used in the speed range of 300-350 RPM. Light speed is ued at 1200 rpm